What is the 02 content of saturated arterial blood?
1. 11.2 ml/100 ml
2. 14.5 ml/100 ml
3. 19.4 ml/100 ml
4. 21.3 ml/100 ml

Correct answer: 3. 19.4 ml/100 ml

Explanation: One gram of hemoglobin can bind with a maximum of 1.34ml of oxygen. Thus 100ml of blood with hemoglobin level of 15 gm% can carry 1.34 x 15 = 20.1ml of oxygen. However due to the presence of various physiological shunts only 95% of Haemoglobin is available for carrying oxygen. Therefore practically 100 ml of arterial blood carries about 19.8ml of oxygen out of which 19.4ml as oxyhemoglobin and 0.4ml was dissolved form in plasma. Ref: Essential of Medical physiology by Khurana Pg 250.